Which of the following are features of pulmonary oxygen toxicity?
1. Increased capillary endothelial permeability
2. Decreased mucociliary transport in airways
3. Inhibition of phagocytosis function of alveolar macrophages
4. All the above

Correct answer: 4. All the above

Explanation: Ans. is 'd' i.e., All the above Prolonged inhalation of high concentration of 0, is known to damage the lungs. Pulmonary toxicity of 0, is related to the oxygen tension in alveoli. The pulmonary oxygen toxicity has the following features Increased capillary endothelial permeability causing accumulation of fluid in the interstitial space. Depression of mucociliary transport function of airway Inhibition of phagocytosis of alveolar macrophages Changes in the surfactant activity and its production.